Illusion is:
1. Misinterpretation of real objects
2. False firm belief
3. Absence of sensory stimulus
4. Hearing of voices

Correct answer: 1. Misinterpretation of real objects

Explanation: Ans. Misinterpretation of real objects